An alcohol addict consumed methyl alcohol contained ethanol. All of the following are TRUE about methanol poisoning, EXCEPT:
1. Symptoms may appear within one hour
2. Cyanosis and dyspnoea
3. Urine is alkaline
4. Hyperemia of optic disc

Correct answer: 3. Urine is alkaline

Explanation: Methanol poisoning: Symptoms may appear within an hour; they include: Nausea and vomiting Abdominal pain Headache and neck stiffness Vertigo Confusion Muscular weakness Dyspnoea and cyanosis Urine is strongly acid and may contain acetone. Fundoscopy shows hyperaemia of optic disc followed by retinal oedema. Ref: The Essentials of Forensic Medicine and Toxicology by Dr. K. S. Narayan Reddy, 27th edition, Page 512.